Most important function of albumin in body is
1. Oncotic pressure
2. Drug transport
3. Toxic transport
4. Coagulation

Correct answer: 1. Oncotic pressure

Explanation: Osmotic pressure is determined by the number of molecules dissolved in a fluid rather than by the mass of these molecules. Therefore, when corrected for number of molecules rather than mass, the following chart gives both the relative mass concentrations (g/dl) of the different types of proteins in normal plasma and their respective contributions to the total plasma colloid osmotic pressure (Πp).